In Hydrocephalus exvacuo, the compensatory enlargement of ventricles and increase in CSF volume due to brain atrophy is seen in-
1. Alzheimers diseae
2. Picks diseases
3. Both
4. None of the above

Correct answer: 3. Both

Explanation: Ans. is 'c' i.e., Both Hydrocephalus ex vacuo In significant cortical atrophy, there is compensatory ventricular enlargement secondary to loss of parenchyma --> Hydrocephalus ex vacuo. o This can be seen in Alzheimer disease and Pick disease. -